A child with nephrotic syndrome following an episode of diarrhea presented with acute kidney injury with a creatinine of 4.5. All of the following are possible reasons except?
1. Excess furosemide
2. Diarrhea water depletion
3. Renal vein thrombosis
4. Steroid induced diabetes

Correct answer: 4. Steroid induced diabetes

Explanation: Ans. d. Steroid induced diabetes